Generation time for E.coli is
1. 2 MIN
2. 20 MIN
3. 2 hrs
4. 20 days

Correct answer: 2. 20 MIN

Explanation: Ans: b) 20mts Generation time of E COLI 20 MIN M TB 16-18 HOURS M LEPRAE 14 DAYS